Maximum amount that can be received under the Consumer Protection Act:
1. 25 lakhs
2. 50 lakhs
3. 75 lakhs
4. > 100 lakhs

Correct answer: 4. > 100 lakhs

Explanation: Ans. > 100 lakhs